Colonic pseudo obstruction occurs in all, EXCEPT:
1. Diabetes mellitus
2. Dermatomyositis
3. Scleroderma
4. Hyperthyroidism

Correct answer: 4. Hyperthyroidism

Explanation: "Pseudo Obstruction is seen in hypothyroidism, not in hyperthyroidism" Ref: Sabiston 18/e, Page 1372; schwartz 9/e, Page 992.